A CT scan of acute pancreatitis will show following features, except:
1. Poor contrast enhancement
2. Dilated main pancreatic duct
3. Enlargement of the pancreas
4. Ill defined outline of the pancreas

Correct answer: 2. Dilated main pancreatic duct

Explanation: Dilatation of main pancreatic duct is usually seen in chronic calcific pancreatitis. Ref: Albert L. Baert, Guy Delorme, L. Van Hoe (1999), Chapter 5 , "Pancreatic Disease in The Childhood", In the Book, "Radiology of The Pancreas", Springer Publications, USA, Page 110 ; Text Book of Radiology and Imaging By Sutton, 7th Edition, Page 7790